Persistent Moro's reflex at 6–7 months indicates –
1. Normal child
2. Brain damage
3. Hungry child
4. Irritable child

Correct answer: 2. Brain damage